Staphylococcus is
1. Gram - positive cocci
2. Gram - negative cocci
3. Gram - positive bacillus
4. Gram - negative bacillus

Correct answer: 1. Gram - positive cocci

Explanation: Gram positive bacteria 

There are 6 classic gram-positive bacteria that cause human disease.


Of these 2 are cocci


Staphylococci
Streptococci (including anaerobic peptostreptococci)


Other 4 are bacilli


Corynebacterium
Bacillus
Clostridium
Listeria